True statements regarding halothane are all of the following except:
1. Unsuitable for pediatric population
2. Potentiates competitive neuromuscular blockers
3. Hepatitis may occur
4. Contraindicated in patients with Cardiac arrythmia

Correct answer: 1. Unsuitable for pediatric population

Explanation: Ans. A: Unsuitable for pediatric population Halothane/Fluothane is an inhalational general anaesthetic. It is the only inhalational anaesthetic agent containing a bromine atom. It is colourless and pleasant-smelling, but unstable in light. It is packaged in dark-coloured bottles and contains 0.01% thymol as a stabilising agent. It is a potent anaesthetic. It is not a good analgesic or muscle relaxant; however it potentiates competitive neuromuscular blockers. Repeated exposure to halothane in adults results in severe liver injury (Halothane hepatitis) due to the metabolism of halothane to trifluoroacetic acid oxidative reactions in the liver. All volatile anaesthetics such as halothane can trigger malignant hyperthermia in genetically susceptible individuals. Its properties include cardiac depression at high levels, cardiac sensitisation to catecholamines such as norepinephrine, and potent bronchial relaxation. Its lack of airway irritation made it a common inhalation induction agent in pediatric anaesthesia. Due to its cardiac depressive effect, it is contraindicated in patients with cardiac failure. Halothane is also contraindicated in patients susceptible to cardiac arrythmias, or in situations related to high catecholamine levels such as pheochromocytoma.